A 40 year old woman undergoing laproscopic cholecystectomy is found to have a mass suspicious of cancer of gall bladder. It appears to have permeated through the entire thickness but there is no involvement of overlying serosa. The next surgical step would be
1. Continue simple cholecystectomy
2. Extended cholecystectomy
3. Palliative radiotherapy
4. Radiofrequency Ablation

Correct answer: 2. Extended cholecystectomy

Explanation: Answer- B. Extended cholecystectomyThe tumor described is in stage T2- Extended cholecystectomy is advised.